For the following statements, select the most likely type of Hodgkin disease (HD).The only form of HD more common in women.
1. lymphocyte-predominant Hodgkin disease (HD)
2. nodular-sclerosing HD
3. mixed-cellularity HD
4. lymphocyte-depleted HD, reticular type

Correct answer: 2. nodular-sclerosing HD

Explanation: Nodular sclerosing Hodgkin disease is more common in women, and is particularly common in younger age groups but can occur at any age.